A child presents with bladder exstrophy and chronic renal failure. The muscle relaxant of choice to be used during surgery of exstrophy in this child is:
1. Atracurium
2. Mivacurium
3. Pancuronium
4. Rocuronium

Correct answer: 1. Atracurium

Explanation: Ans. (A) Atracurium(Ref: Katzung 11th/e p453, KDT 8th/e p380)Atracurium is eliminated by Hoffman's elimination i.e. it does not require liver or kidney. It is the muscle relaxant of choice in hepatic and renal failure.